DEEP PETROSAL nerve arises from
1. Facial nerve
2. Glossopharyngeal nerve
3. Plexus around internal carotid artery
4. Mandibullar nerve

Correct answer: 3. Plexus around internal carotid artery

Explanation: The deep petrosal nerve, sympathetic in nature is a branch of the sympathetic plexus around the internal carotid artery. It contains postganglionic fibres from the superior cervical sympathetic ganglion. The nerve joins the greater petrosal nerve to form the nerve of the pterygoid canal. The sympathetic fibres in it are distributed through the branches of the pterygopalatine ganglion. Ref: BD Chaurasia's HUMAN ANATOMY, Volume 3, 4th edition.